Shortest acting muscle relaxant:
1. Tubocurarine
2. Succinylcholine
3. Pancuronium
4. Atracurium

Correct answer: 2. Succinylcholine

Explanation: Ans. B. SuccinylcholineThere are two types of muscle relaxant - depolarizing and non-depolarizing, succinylcholine is the shortest acting depolarizing MR and mivacurium is longest acting non-depolarizing MR.